A leukemic patient develops disseminated intravascular coagulation. Examination of the marrow reveals hypergranular promyelocytes, some of which contain multiple Auer rods. The diagnosis of acute promyelocytic leukemia is made. Which of the following translocations is associated with the development of this disorder?
1. t (4;11)
2. t (6;9)
3. t (8;14)
4. t (15;17)

Correct answer: 4. t (15;17)

Explanation: Acute promyelocytic leukemia (M3 by the FAB classification) is associated with a t(15;17) (q22;q11) translocation. Disseminated intravascular coagulation can occur in this disorder due to the release of procoagulant substances from the leukemic cells, especially during treatment. The t(4;11)(q21;q23) translocation is associated with acute lymphocytic leukemia (ALL) and undifferentiated leukemia. The t(6;9)(p23;q34) translocation is found in subtypes of AML with basophilia (M1, M2, M4). Burkitt's leukemia, which is related to Burkitt's lymphoma, is associated with t(8;14) (q 24;q32). The t(8;21) (q22;q22) translocation (choice D) is seen in M2 leukemia, also known as acute myeloid leukemia (AML) with maturation, and some M4 (AML with granulocytic and monocytic maturation).